Phlyctenular keratoconjunctivitis is due to hypersensitivity to which of the following allergens
1. Pollen
2. Chemicals
3. Mycobacterium tuberculosis proteins
4. Animal fur

Correct answer: 3. Mycobacterium tuberculosis proteins

Explanation: Phlyctenular keratoconjunctivitis is due to hypersensitivity to endogenous allergens like Mycobacterium tuberculosis proteins and Staphylococcus proteins.